Which of the following Anti neoplastic drugs SHOULD NOT be given by rapid IV infusion?
1. Cyclophosphamide
2. Cisplatin
3. Bleomycin
4. Cytosine arabinoside

Correct answer: 2. Cisplatin

Explanation: Ans. is `b ' i.e., Cisplatin o Cisplatin is the most common culprit causing chemotherapy induced nausea and vomiting, therefore cisplatin is given as slow i.v. infusion(never bolus) to prevent vomiting.